Which of the following statement is true about the Article 24?
1. Prohibits employment of children below the age of 14 in factories
2. Provides for free and compulsory education for all children until they complete the age of 14 years
3. Prevents abuse of children of tender age
4. Provides special care, if handicapped

Correct answer: 1. Prohibits employment of children below the age of 14 in factories

Explanation: RIGHTS OF THE CHILD Article 24 Prohibits employment of children below the age of 14 in factories Article 39 Prevents abuse of children of tender age Article 45 Free and compulsory education for all children until they complete the age of 14 years.